Biological marker for antisocial behaviour in boys:
1. Low serum testosterone
2. Low resting pulse rate
3. Increased urinary dopamine levels
4. Shortened REM latency

Correct answer: 2. Low resting pulse rate

Explanation: Ans: (b) Low resting pulse rateRef. 1.Valencia M, Arias JMC, Potential Biomarkers in Personality Disorders: Current State and Future Research, International Journal of Psychological Research 2016; 9(1): 98-1122. Sjoberg, R.L., et at. A Non-additive Interaction of a Functional MAO-A VNTR and Testosterone Predicts Antisocial Behavior, Neuropsychopharmacology 2007; 33: 425-4303. Todd A, et al. Low Resting Heart Rate and Antisocial Behavior: A Brief Review of Evidence and Preliminary Results from a New Test, Criminal Justice and Behavior 2009; 36(11): 1125-11404. Herbert C. Quay, Anne E. Hogan, Handbook of Disruptive Behavior Disorders, 1st edition, 1999A biological marker (or simply biomarker) is a measurable indicator of any biological state or condition. Biomarkers are useful to examine normal biological processes, pathological processes, or responses to any intervention.Human behavior is due to neuro-humoral mechanism (Neurological and Endocrine). Hence, chemicals (neurotransmitters, hormones), neurological responses, anatomical changes of brain can be used as biomarkers of behavior.Antisocial BehaviorAntisocial behavior is any behavior which is harmful to others. This may range from lying to killing. The harm may be directed towards an individual or group of individuals or an institution or property. A person or a group of people (gang) can indulge in anti-social behavior.It is seen in following disorders:Its characteristic of antisocial personality disorder (ASPD)Disruptive behavior disorders (ADHD, Oppositional defiant disorder, Conduct disorder). Note, some of them may go on to develop ASPD in futureHarm to others can occur in delirium (altered consciousness); dementia (memory impairment); substance intoxication / withdrawal; mania/hypomania (irritable mood)Biomarkers of antisocial behavior are divided into:Positive correlation: Testosterone (well proven marker)Negative correlation: Pulse rate (resting)Unclear: Dopamine and Serotonin (and their metabolites level)Currently, hyperdopaminergia and hyposerotonin in brain are implicated with higher level of aggression and antisocial behavior. This is reflected in level of metabolites in CSF/urine of these neurotransmitters (High HVA - for Dopamine; Low 5-HIAA-for Serotonin)From a common sense point of view, antisocial behavior people have no/low empathy/sympathy; hence they sleep well even after crime (no shortening of REM latency) don't feel anxious/remorse (no sympathetic stimulation while doing crime/post crime - low pulse rate).